True about atosiban is?
1. Is an oxytocin receptor antagonist
2. Is an progesterone receptor antagonist
3. Is least effective in inhibiting preterm uterine Contractions
4. Is a anti-tocolytic drug

Correct answer: 1. Is an oxytocin receptor antagonist

Explanation: Atosiban is a peptide analog of oxytocin that acts as an antagonist at the oxytocin receptors. It is a tocolytic. It suppress uterine contractions and postpones preterm delivery. (Ref.Essentials of medical pharmacology TD Tripathi 6th edition page no.333).